A 40-year-old male with h/o progressive dysphagia for liquid has dilated esophagus on barium meal. Most likely cause is
1. Achalasia cardia
2. Cancer at cardia
3. Ca esophagus
4. Carcinoma gastric fundus

Correct answer: 1. Achalasia cardia

Explanation: Achalasia cardia * All of the above mentioned condition except Achalasia cardia occur around 60 years of age. Features for differentiation between achalasia cardia and carcinoma esophagus: Achalasiacardia Carcinomaesophagus a. Around30-40 yearsofage a. Presentationafter60yearsofage b. No dysphagiafor solids b. Dysphagiafor solidspresent c. Dysphagiaforliquidspresent c. Dysphagiaforliquidsonlyat verylatestages